The classification system used for barrett's esophagus is:
1. McCormack
2. Tanoue
3. Prague
4. Amsterdam

Correct answer: 3. Prague

Explanation: The Prague Criteria for grading of Barrett's esophagus was named because it was first presented by the IWGCO at the 2004 United European Gastroenterology Week meeting in Prague. The key steps are: Identify the gastroesophageal junction as at the tops of the gastric mucosal folds For circumferential columnar-appearing mucosa above the gastroesophageal junction define this extent in centimetres above the gastroesophageal junction: - report as the C value For any tongue-like areas of columnar-appearing mucosa, measure the Maximum extent in centimetres above the gastroesophageal junction: - report as the M value Ref: GASTROENTEROLOGY 2006;131:1392-1399